The most common cause of failure of the seal in the posterior palatal area is:
1. Under extended distal denture border.
2. Overextended distal denture border.
3. Distolateral border extended beyond the hamular notch.
4. All of the above.

Correct answer: 1. Under extended distal denture border.